All of the following are TRUE about cleft palate, EXCEPT:
1. Surgery should be done at 1 year
2. 50% recover speech after operation
3. A/w hearing loss
4. A/w cleft lip in 45%

Correct answer: 2. 50% recover speech after operation

Explanation: Option 1 Cleft lip is repaired at 3 months, cleft palate by 12 months and alveolar bone grafting at 9 years which coincides with partial eruption of the canine teeth. Option 2 Satisfactory speech following surgical repair of cleft palate is achieved in 70-90% of cases. Significant speech defects usually require secondary operations when the child is older. The most widely used technique is the pharyngeal flap operation, in which the palatopharyngeal space is reduced by attaching a flap of posterior pharyngeal muscle and mucosa to the soft plate. This permits voluntary closure of the velopharyngeal complex and thus avoids hypernasal speech. Option 3 Eustachian tube dysfunction plays a central role in pathogenesis of otitis media with effusion in babies and children born with a cleft palate. It has been recently recognized that a child with craniofacial anomaly including cleft lip and palate is at the increased risk of sensorineural hearing deficit. Option 4 The typical distribution of cleft types is: Cleft lip alone 15% Cleft lip and palate 45% Isolated cleft palate 40% Ref: Bailey & Love 25/e, Page 658-668; Sabiston 18/e, Page 2138; CSDT 11/e, Page 1257-58